Methemoglobinemia is caused by :
1. Prilocaine
2. Ropivacaine
3. Bupivacaine
4. Procaine

Correct answer: 1. Prilocaine